Uterine leiomyoma is least likely to undergoe
1. Malignant change
2. Hyaline change
3. Calcification
4. Red degeneration

Correct answer: 1. Malignant change

Explanation: Refer 9/e 1020 Leiomyomas are sharply circumscribed, discrete, round, firm, gray-white tumors varying in size from small, barely visible nodules to massive tumors that fill the pelvis. Except in rare instances, they are found within the myometrium of the corpus. Only infrequently do they involve the uterine ligaments, lower uterine segment, or cervix. They can occur within the myome- trium (intramural), just beneath the endometrium (submucosal) or beneath the serosa (subserosal) (Fig. 22-28A). Whatever their size, the characteristic whorled pattern of smooth muscle bundles on cut section usually makes these lesions readily identifiable. Large tumors may develop areas of yellow-brown to red softening. Leiomyomas are typically composed of bundles of smooth muscle cells that resemble the uninvolved myometrium